Pseudogestational sac seen in ultrasonography of:
1. Missed abortion
2. Ectopic gestation
3. Complete abortion
4. Hematometra

Correct answer: 2. Ectopic gestation

Explanation: When ultrasound examination reveals a sac without an embryo or yolk sac, the diagnosis is limited to one of three entities:

A normal early intrauterine pregnancy (IUP).
An abnormal intrauterine pregnancy (IUP).
A pseudogestational sac in a patient with an ectopic pregnancy.